Stone formation in Gall bladder is enhanced by all except :
1. Clofibrate therapy
2. Ileal resection
3. Cholestyramine therapy
4. Vagal stimulation

Correct answer: 4. Vagal stimulation

Explanation: Answer is D (Vagal stimulation) Stone formation is enhanced by Truncal vagotomy (not by vagal stimulation).